The thyroiditis also known as "Painless Thyroiditis"?
1. Subacute lymphocytic
2. Dequervain's
3. Hashimoto
4. Riedel

Correct answer: 1. Subacute lymphocytic

Explanation: Ans. is 'a' i.e., Subacute lymphocytic